A patient with psoriasis was started on systemic steroids. After stoping the treatment, patient developed universally red scaly skin with plaques losing their margins all over his body. The most likely cause is
1. Drug induced reaction
2. Pustular psoriasis
3. Bacterial infection
4. Ervthrodermic Psoriasis

Correct answer: 4. Ervthrodermic Psoriasis

Explanation: D i.e. Erythrodermic psoriasis